Patient having gastroenteritis after eating contaminated food.microscopy showed gram-positive bacillus with subterminal spore. The bacteria is
1. Clostridium per fringes
2. Staphylococcus
3. Clostridium tetani
4. Corynebacterium

Correct answer: 1. Clostridium per fringes

Explanation: Clostridium-gram positive bacillus Food poisoning -clostridium perfringes Ref: Textbook of Microbiology Baveja 4th ed Pg 591